True regarding APGAR score is all except
1. 1-minute APGAR score reflects need for immediate resuscitation.
2. 5-minute APGAR score has prognostic significance for neonatal survival.
3. Is prognostic indicator of long-term neurologic outcome.
4. Change in score between 1 and 5 minutes is useful index of effectiveness of resuscitative efforts.

Correct answer: 3. Is prognostic indicator of long-term neurologic outcome.

Explanation: APGAR score has no prognostic significance with regard to neurologic outcome.